Renal vein thrombosis is most commonly found in -
1. Focal glomerulosclerosis
2. Membranous
3. Minimal change GN
4. Acute pyelonephritis

Correct answer: 2. Membranous

Explanation: Ans. is 'b' i.e., Membranous GN Nephrotic syndrome accompanying membranous glomerulopathy and certain carcinomas are the most common cause of RVT. Remember o Most common cause of RVT in adult nephrotic syndrome due to membranous glomerulonephritis. o Most common cause of RVT in children ---> nephrotic syndrome due to minimal change disease. o Most common cause of RVT in newborns and infants Asphyxia, dehydration, shock and sepsis.